Action of tibialis anterior ?
1. Plantar flexion of foot
2. Adduction of foot
3. Inversion of foot
4. None of the above

Correct answer: 3. Inversion of foot

Explanation: Ans. is 'c' i.e., Inversion of foot